All the following inhibit complex IV and totally arrest respiration except
1. H2S
2. Carbon monoxide
3. Cyanide
4. Dimercaprol

Correct answer: 4. Dimercaprol

Explanation: The classic poisons H2S, carbon monoxide, and cyanide inhibit Complex IV and can therefore totally arrest respiration. Reference: Harper; 30th edition; Page no: 132